Hemophilia with Rheumatoid arthritis, analgesic of choice is:
1. Ibuprofen
2. Asprin
3. Acetaminophen
4. Phenylbutazone

Correct answer: 3. Acetaminophen

Explanation: Answer is C (Acetaminophen): The three major goasl of RA management includes reducing pain, reducing inflammation and preventing disability. Pain management (Analgesia) is not equivalent to inflammation control although they may be performed in concert. Acetaminophen does not inhibit platelet aggregation, therefore it is the analgesic of choice when bleeding tendencies are an issue. Acetaminophen is particularly useful fir those with bleeding disorders such as bleeding ulcers or hemophilia and it has been termed appropriate for pain control (analgesia) in Rheumatoid Arthritis (Arthritis foundation). As the question is specifically directed for the 'analgesic of choice (pain control)', Acetaminophen is the single best answer of choice.